For a child 3-5 months age with H1N1, treatment Oseltamivir dose is
1. 20 mg OD X 5 days
2. 12 mg BD X 5 days
3. 25 mg BD X 5 days
4. 20 mg BD X 5 days

Correct answer: 4. 20 mg BD X 5 days

Explanation: Oseltamivir (Tamiflu ) is the drug of choice for swine flu H1N1 But it's dose is given according to the age and weight of the person. Age >3 months to 12 months - 3 mg/kg BD x 5 Days >1 month to 3 months - 2.5 mg/kg BD x 5 Days 0 to 1 month - 2 mg/kg BD x 5 Days Weight <15 kg - 30 mg BD x 5 Days 15-23 kg - 45 mg BD x 5 Days 24-40 kg - 60 mg BD x 5 Days >40 kg - 75 mg BD x 5 Days